Minimal Ascites can be best detected by -
1. USG
2. Plain X-ray abdomen
3. MRI
4. CT Scan

Correct answer: 1. USG

Explanation: Ans. is 'a' i.e. . USG . For clinical detection of ascites, a minimal amount of 500 ml of peritoneal fluid is required. Lesser amounts can be easily detected on USG IOC for minimal ascites -USG IOC for minimal Pleural Effusion-USG